According to IAP classification of Grade IV malnutrition, Weight-for-age of the standard (%) is _________
1. 71-80
2. 61-70
3. 51-60
4. < 50

Correct answer: 4. < 50

Explanation: IAP classification of malnutrition Grade of malnutrition Weight-for-age of the standard (%) Normal >80 Grade I 71-80 (mild malnutrition) Grade II 61-70 (moderate malnutrition) Grade III 51-60 (severe malnutrition) Grade IV <50 (very severe malnutrition) Reference: Paediatrics; O.P Ghai; 8th edition; Page no: 97